Inverted Moustache Sign is seen in
1. TAPVC
2. PAPVC
3. Constrictive pericarditis
4. CHF

Correct answer: 4. CHF

Explanation: Suggestive Of Congestive Heart Failure Reverse Moustache Sign, Stag Antler Sign, Hands Up sign Indicate prominence of Upper Lobe Vessels(cephalization) TAPVC -Figure of 8 Constrictive pericarditis -Egg in Cup PAPVC- Scimitar Sign